A patient comes with history of unresponsive fever and cough. X-ray revealed pneumonia. Sputum examination showed gram positive, partially acid fast bacteria with branching filaments that grows on sheep blood agar. The most likely etiologic agents is:
1. Actinomycetes
2. Nocardia
3. Aspergillosis
4. Pneumococci

Correct answer: 2. Nocardia

Explanation: Ans. is 'b' i.e., NocardiaRef: (Ananthanarayan, 8th/e, p. 393; 9th/e, p. 394; Harrison, 18th/e, p. 1324; Jawetz, 24th/e, p. 182)The typical morphology of Nocardia is Acid Fast filamentous bacteria with right angle branching.